Which of the following is used in the numerator for calculation of Still Birth rate:
1. Foetal deaths weighing over 800 grams
2. Foetal deaths weighing over 1000 grams
3. Foetal deaths weighing over 1200 grams
4. All foetal deaths

Correct answer: 2. Foetal deaths weighing over 1000 grams

Explanation: Foetal deaths weighing over 1000 grams in a year Still birth rate = ----------------------------------------------------------------- X 1000 Total live + stillbirths > 1000 grams in that year Ref: Park 21st edition, page 519